In exhaled air, normal pCO2 pressure is:
1. 36 mm Hg
2. 27 mm Hg
3. 40 mm Hg
4. 17 mm Hg

Correct answer: 2. 27 mm Hg

Explanation: (Refer: Ganong’s Review of Medical Physiology, 24th edition, pg no: 635)